High-altitude acclimatization may be facilitated by all except?
1. Increased production of red blood cells
2. Increased alveolar ventilation
3. Growth of new blood vessels
4. Growth of new skeletal muscle fibers

Correct answer: 4. Growth of new skeletal muscle fibers

Explanation: Erythropoietin secretion increases promptly on ascent to high altitude and then falls somewhat over the following 4 days as the ventilatory response increases and the arterial PO2 rises. The increase in circulating red blood cells triggered by the erythropoietin begins in 2-3 days and is sustained as long as the individual remains at high altitude. Compensatory changes also occur in the tissues. The mitochondria, which are the site of oxidative reactions, increase in number, and myoglobin increases, which facilitates the movement of O2 into the tissues. The tissue content of cytochrome oxidase also increases.The natives who live in high altitudes are barrel-chested and markedly polycythemic. They have low alveolar PO2 values, but in most other ways they are remarkably normal. Ref: Barrett K.E., Barman S.M., Boitano S., Brooks H.L. (2012). Chapter 35. Gas Transport & pH. In K.E. Barrett, S.M. Barman, S. Boitano, H.L. Brooks (Eds), Ganong's Review of Medical Physiology, 24e.